In multiple myeloma following are seen -a) Increase Calciumb) Sclerotic bone lesion c) Gone depositiond)  Renal failure
1. b
2. c
3. ad
4. ab

Correct answer: 3. ad